Dentigerous cysts originate from -
1. Epithelium around the crown of unerupted teeth
2. Paranasal sinuses
3. Tooth pulp
4. Retention cyst

Correct answer: 1. Epithelium around the crown of unerupted teeth

Explanation: Ans. is 'a' i.e., Epithelium around the crown of unerupted teeth Dentigerous (follicular) cystso 2nd most common type of jaw cyst.o Dentigerous cysts develop from the epithelial sac that surrounds the crown of unerupted teetho Most commonly they are associated with lower third molars.o The noninflamed dentigerous cyst has an epithelial lining composed of two to three layers of cuboidal or ovoid epithelial cells.o Enucleation is the treatment of choice, with removal of the impacted tooth.Classification of Jaw cystsOdontogenic cystsNonodontogenic Developmental cystsNonodontogenic PseudocystsRadicular cysts - most common type of jaw cystDentigerous cyst - 2nd most common type of jaw cystEruption cyst Odontogenic keratocysts Gingival (Alveolar) cyst of newbornLateral Periodontal cystsBotyroid odontogenic cystGlandular odontogenic cystCalcifying odontogenic cysts (Gorlin cysts)Nasolabial cystsNasopalatine cystsAneurysmal bone cystsTraumatic bone cystsStatic bone cystsGanglion cysts